All the following are features of pseudotumor cerebri except -
1. Normal-sized ventricles on CT scan
2. Increased protein in CSF
3. Papilledema
4. Absence of focal neurological deficit

Correct answer: 2. Increased protein in CSF